CO2 is mainly transported in the blood in which form:
1. Dissolved form
2. HCO3
3. Carbamino compound
4. Gas form

Correct answer: 2. HCO3

Explanation: CO2 is transported in the blood in 3 forms:

As HCO3- CO2 is mainly transported in bicarbonate form - 70%. When CO2 diffuses into RBC, it reacts chemically with water and with help of enzyme carbonic anhydrase it is converted into HCO3 + H + CO2+ H2O → HCO3+H +​
As dissolved CO2: 6 - 7% of CO2 transport​
As carbamino compound of Hb and other plasma proteins: 20% of C02 transport.